Best investigation for carcinoma colon
1. Barium enema
2. Colonic biopsy
3. Clinical examination
4. Colonscopy

Correct answer: 4. Colonscopy